All of the following facts are true with group discussion except
1. Group discussion is very effective method of health education
2. The group should sit in a circle
3. Group members should not have known each other before
4. There should be a group leader to initiate

Correct answer: 3. Group members should not have known each other before